Tetanus spasm occurs due to which of the following toxin:
1. Tetanotysin
2. Lecithinase
3. Neurotoxin
4. Tetanospasmin

Correct answer: 4. Tetanospasmin

Explanation: Am: d (telanospasmin)Ref: Ananthanarayan and Paniker's Textbook of Microbiology, 801 edi., Pg. 257-260TetanusClostridium tetani is a gram positive spore bearing bacilli with drum stick appearance.It swarms over agar surface.Three important toxins of cl. Tetani are:- Tetanolysin - heat & oxygen labile haemolysin, not relevant in pathogenesis- Tetanospamin - responsible for tetanus, oxygen stable but heat labile, plasmid coded and toxoided- Neurotoxin - peripherally active, non spasmogenic Tetanospasmin blocks synaptic inhibition of spinal cord esp GABA & giycine which causes uncontrolled spread of impulses- muscle rigidity and spasm --with tonic extension of body.